In adult teeth, the type of dentin present underlying dentino-enamel junction is
1. Predentin
2. Mantle dentin
3. Interglobular dentin
4. Tertiary dentin

Correct answer: 2. Mantle dentin